A psychotic, indigent man with a history of multi substance abuse has been involuntarily hospitalized for 1 week. Because of persistent diarrhea, stools are sent for ova and parasites, revealing numerous granular, spherical, thin-walled cysts measuring 10-20 mm in diameter. Trichrome stains show up to four nuclei in most of the cysts. These finding are consistent with an infection by which of the following organisms?
1. Cryptosporidium parvum
2. Dientamoeba fragilis
3. Entamoeba histolytica
4. Giardia lamblia

Correct answer: 3. Entamoeba histolytica

Explanation: Entamoeba are relatively common enteric pathogens that can produce asymptomatic infection or more severe disease characterized by mucosal ulcerations and submucosal spread causing abdominal distress and liquid stools. Stools may show either trophozoite forms or the typical spherical cysts. Several species of Entamoeba are seen, including Entamoeba coli and E. hartmanni. E. histolytica cysts characteristically are spherical in shape, 10-20 mm in diameter, and have granular cytoplasm containing 1, 2, or 4 nuclei. Cryptosporidium parvum infections occur in the immunocompromised population and may cause severe diarrhea. The organism presents as minute (2-5 mm) intracellular spheres or arc-shaped merozoites under normal mucosa, and can be difficult to appreciate by light microscopy. Cysts in the stool are too small (4-5 mm) to be confused with Entamoeba. Dientamoeba fragilis is an intestinal amoeba that also may produce an infectious diarrhea. It does not have a cyst form, and only the trophozoite forms are seen in stools. Giardia lamblia is a flagellate protozoan that infects the stomach and small intestine when contaminated water is ingested. Diagnosis is usually made by examining duodenal contents; however, the stools may contain the oval or elliptical cysts, which are thick-walled and measure 8-14 mm in diameter. Spherical cysts are not seen in Giardia infection. Ref: Ray C.G., Ryan K.J. (2010). Chapter 51. Rhizopods. In C.G. Ray, K.J. Ryan (Eds), Sherris Medical Microbiology, 5e.